Which is the longest DNA of hepatitis B virus ?
1. P gene
2. X gene
3. S gene
4. C gene

Correct answer: 1. P gene

Explanation: Ans. is 'a' i.e., P gene